Paget's disease of anal canal is:
1. Squamous cell carcinoma in situ
2. Squamous cell adenoma
3. Intra-epithelial adenocarcinoma
4. Marginal anal cell carcinoma

Correct answer: 3. Intra-epithelial adenocarcinoma

Explanation: Ans. (c) Intra-epithelial adenocarcinoma Ref: Sabiston 19th Edition, Page 1405Paget's Disease of Anal Canal* It's the superficial manifest of an intraepithelial adenocarcinoma.* Most common site is breast* Most common site of extra mammary Paget's disease- Anogenital > Axilla* Most common site in females: Vulva* Paget's cells- Foamy and Vacoulated, PAS+ve , Mucicarmine and Alcian blue +, Cytokeratin 7 is also positive* Diagnosis made on biopsy* Wide local excision is treatment of choice.